Hyoid bone is closely associated to:
1. Bronchogenic cyst
2. Cystic hygroma
3. Thyroglossal cyst
4. Ranula

Correct answer: 3. Thyroglossal cyst

Explanation: Ans. C i.e. Thyroglossal cystThyroglossal cystMC site:- Beneath the hyoid,Occupies the midline usually (except in the region of thyroid cartilage),Swelling moves upwards on protrusion of the tongue as well as on swallowing (attachment with foramen caecum),Painless